Progesterone of choice in emergency contraception:
1. Micronized progesterone
2. Norgesterone
3. Levonorgestrel
4. DMPA

Correct answer: 3. Levonorgestrel

Explanation: Levonorgestrel is the best progesterone of choice for emergency contraception with least side effects.